Best contraceptive for 22 year old married nulliparous women
1. Condom
2. OCPs
3. Tubectomy
4. Rhythm method

Correct answer: 2. OCPs